Dry wine is
1. Methyl alcohol
2. Methylated spirit
3. Chloral hydrate
4. Isopropyl alcohol

Correct answer: 3. Chloral hydrate

Explanation: Chloral hydrate (dry wine) is related to paraldehyde and is an unfashionable drug in modern times, but still used in psychiatric hospitals. It is mixed with food or drinks to render a person suddenly helpless for the purpose of robbery or rape. Its action is so rapid, hence the name 'knockout drops. Ref - Krishan Vij textbook of forensic medicine and toxicology 5e pg - 439, 496